Loss of striatal fibres in caudate nucleus is associated with?
1. Huntington' disease
2. Parkinsons' disease
3. Charcot marie tooth disease
4. Hemiballismus

Correct answer: 1. Huntington' disease

Explanation: . *Neuropathologically ,disease is predominantly strikes the striatum. *Atrophy of caudate nuclei,which forms the lateral margin of lateral ventricles ,can be visualise in neuroimaging studies in the middle and late stage of disease . Ref Harrison20th edition pg 2567